The rate of lymph flow is:
1. 10 ml/hr
2. 20 ml/hr
3. 50 ml/hr
4. 120 ml/hr

Correct answer: 4. 120 ml/hr

Explanation: Rate of lymph flow is 2 ml/min or 120 ml/hr or 2 to 4 liters per day. Lymphatic system provides an accessory route by which interstitial fluid drains into the blood. Lymph from all over is emptied into the thoracic duct which then drains the lymph into the venous system at the junction of the left internal jugular vein (IJV) and subclavian vein. Lymph composition is similar to interstitial fluid; protein concentration of lymph (in most tissues) = 2 gm%, lymph coming from the liver has 6 gm% of proteins. Factors increasing lymph flow: Contraction of surrounding skeletal muscles, movements of the body parts, pulsations of the neighboring arteries, objects compressing the tissues from outside the body.